Prosocopy is discovered by -
1. Galton
2. Locard
3. Hershad
4. None

Correct answer: 2. Locard

Explanation: Poroscopy is study of pores of sweat glands in ridges of fingertips which was discovered by Locard. ref :Dr.K.S.Narayana Reddys Synopsis of Forensic Medicine & Toxicology 27th edition pg. 47.